Tongue develops from all except?
1. Tuberculam impar
2. Hypobranchial eminence
3. Second arch
4. Lingual swellings

Correct answer: 3. Second arch

Explanation: Second arch gives minimum contribution to tongue development. Arch 1 - oral part of tongue (anterior 2/3rd) except Circumvallate papillae - general sensations supplied by lingual nerve, branch of mandibular nerve, branch of trigeminal nerve Arch 2 - Disappears at foramen caecum. Arch 3 - Pharyngeal part of tongue (posterior 1/3rd) with circumvallate papillae supplied by 9th nerve Arch 4 - Epiglottis and Posterior most tongue supplied by Internal Laryngeal Nerve, branch of Superior Laryngeal Nerve, Branch of Vagus Nerve The tongue muscles are derived from the myotomes of the occipital somites.